All are features of paralytic squint except:
1. Unequal fixation
2. Vertigo
3. Amblyopia
4. Abnormal head position

Correct answer: 3. Amblyopia

Explanation: Ans. Amblyopia